During diastole, the arterial pressure is maintained by
1. Elastic recoil of aorta
2. Musculature of arteries
3. CRT onstriction of capillaries
4. Contraction of left ventricle

Correct answer: 1. Elastic recoil of aorta

Explanation: Due to the presence of elastic fibers in the Windkessel vessels, there is an elastic recoil during the diastole (they are stretched during systole), which results in a forward flow and an aortic pressure wave called as diastolic pressure. Entry of blood in the arteries causes the walls of these arteries stretched., and pressure increases to 120mmHg. At the end of the systole when the left ventricle stops ejecting blood and aortic valve closes ,the elastic valves of the artery maintains a high pressure even during diastole. A so- called insisura occurs in aortic pressure curve when the aortic valve closes--caused by short period of backward flow of blood,immediately before the closure of valve,followed by sudden cessation of backflow.